Reffered pain to Inferior angle of right scapula in acute cholecystitis is known as
1. Murphy's sign
2. Naunyn's sign
3. Boa's sign
4. Cullen's sign

Correct answer: 3. Boa's sign

Explanation: It is seen in acute cholecystitis Boa's sign - Hyperaesthesia below the right scapula Murphy's sign- Inspiratory arrest with deep palpation in the RUQ in acute cholecystitis (also known as Naunyn's sign) Cullen's Sign- Periumbilical ecchymosis. Seen in retro peritoneal bleeding associated with severe Pancreatitis Ref: Sabiston 20th edition Pgno : 1526, 1494